An old women, nanda suffered stroke for which she was given alteplase. She improved considerably. To prevent the recurrence of stroke, this patient is most likely to be treated indefinitely with:
1. Aspirin
2. Warfarin
3. Urokinase
4. Enoxaparin

Correct answer: 1. Aspirin

Explanation: Ref : KDT 6/e p608,609 Antiplatelet drugs like aspirin or clopidogrel are used to prevent arterial thrombosis (in diseases like MI and stroke).